Primary osteoarthritis affect all except:
1. Hip Joint
2. Knee joint
3. Distal interphalangeal joint
4. Matacarpophalangeal joint

Correct answer: 4. Matacarpophalangeal joint

Explanation: Osteoarthritis involves DIP and PIP with sparing of MCP. Rheumatoid arthritis involves PIP and MCP with sparing of DIP. Osteoarthritis commonly involves knee joint in India. Hip joint is rarely involved in osteoarthritis.